Palmer sign seen in pregnancy is?
1. Pulsation in lateral fornix
2. Rhythmic contaction of uterus
3. Softening of uterus
4. Bluish colouration of vagina

Correct answer: 2. Rhythmic contaction of uterus

Explanation: ANSWER: (B) Rhythmic contaction of uterusREF: Dutta 6th ed p. 65SIGNFEATURESEEN INJacqemiers sign or chadwick's signDusk)!- blue hue of vagina due to congestion8th week of pregnancy and fibroidOslanders signIncreased pulsations felt through lateral fornix8th week and PIDGoodell's signSoftening of cervix when it feels like lip6th week and pill usersHegar's signAbdominal and vaginal fingers on bimanual examination oppose , seen due to softening of cervix6-10 weeksPalmer's signRegular and rhythmic contractions of uterus4-8 weeks